All of the following agents are used in glaucoma treatment, except
1. Apraclonidine
2. Timolol
3. Pilocarpine
4. Metoprolol

Correct answer: 4. Metoprolol

Explanation: Ref:KD Tripathi 7th edition (page.no: 127,144,153) Katzung 10/e p103 metoprolol is b1 selective blocker, so it can't be used for glaucoma. b2 receptor is present in the eye. so drugs acting on beta 2 should be given. Other drugs used for glaucoma are- b blocker- Timolol,Betaxolol, a agonist ; Apraclonidine,Brimonidine, PG analogue ; Latanoprost ,Bimatoprost, Carbonic anhydrase inhibitors ; acetazolamide ,Dorzolamide, Miotics; Pilocarpine